Sudden loss of vision in patient with diabetic retinopathy is due to:
1. Cataract
2. Glaucoma
3. Vitreous defects
4. Papilloedema

Correct answer: 3. Vitreous defects

Explanation: Ans. Vitreous defects